A patient with hip in adduction and medial rotati-on and is unable to move probable diagnosis is
1. Posterior dislocation head of femur
2. Fracture shaft of femur
3. Fracture neck of femur
4. Sciatica

Correct answer: 1. Posterior dislocation head of femur

Explanation: A i.e. Posterior dislocation head of femur